False about radiological features of pulmonary edema
1. Bat - wing appearance
2. Air bronchogram
3. Increased density in perihilar
4. Involvement of peripheral zones of lung fields

Correct answer: 4. Involvement of peripheral zones of lung fields

Explanation: There is relative sparing of the more peripheral zones of lung fields.